68% values are covered in how many Standard Deviations (SD)?
1. 1 SD
2. 2 SD
3. 3 SD
4. 4 SD

Correct answer: 1. 1 SD

Explanation: Normal / Gaussian curve:- Is 'bilaterally symmetrical, bell - shaped'. Mean, Median and Mode coincide. (Mean = Median = Mode) Has mean (u) = 0 and SD (s) = 1. 1) Mean +- 1SD (u +- 1s) covers 68% values. 2) Mean +- 2SD (u +- 2s) covers 95% values. 3) Mean +- 3SD (u +- 2s) covers 99% values.